Snow storm appearance is seen in?
1. Tubal pregnancy
2. Abdominal pregnancy
3. Hydatidiform mole
4. Fibroid

Correct answer: 3. Hydatidiform mole

Explanation: ANSWER: (C) Hydatidiform moleREF: Dutta obs 6th e p. 196Investigations used in H.moleultrasound* Snow storm appearance in uterus* Complete molar pregnancy (chorionic villi show diffuse hydropic swelling and absence of fetal shadow)* Some fetal tissue seen* For diagnostic purpose USG alone is adequate , hormonal assays are for post molar and post chemo follow upSerum beta HCG* Very high in molar pregnancy* > 40000 detected by R1A* Rapidly increasing levels suggest molar pregnancyChest X-ray* To rule out lung metastasisCT scan* To rule out brain and liver metastasis